Uterus develops from -
1. Mullerian duct
2. Wolffian duct
3. Both
4. None

Correct answer: 1. Mullerian duct